Ophthalmic artery is the branch of....part of internal carotid artery :
1. Intercavernous
2. Intrapetrous
3. Intracerebral
4. Extra cranial

Correct answer: 3. Intracerebral

Explanation: C- i.e. Intracerebral